All are seen with Pneumocystis carini in AIDS except
1. Pneumonia
2. Otic polypoid mass
3. Ophthalmic choroid lesion
4. Meningitis

Correct answer: 4. Meningitis

Explanation: Ans. is 'd' i.e., Meningitis